A 40-year-old paddy farmer presented with fever, chills, headache and myalgias for 2 days. The patient also complained of acute onset of cough, shortness of breath and few episodes of hemoptysis. On examination, scleral icterus was present. There is a history of minor lower limb injury while working in the fields, which were infested with rats. Lab findings revealed anemia, leukocytosis, deranged RFTs, prolonged PT and aPTT, increased serum bilirubin and alkaline phosphatase levels. Blood cultures were collected. Dark field microscopy and cultures were done. MAT test was also done. Which electrolyte will be most likely seen in the above condition: -
1. Hyperkalemia and hyponatremia
2. Hyperkalemia and hypernatremia
3. Hypokalemia and hypernatremia
4. Hypokalemia and hyponatremia

Correct answer: 4. Hypokalemia and hyponatremia

Explanation: This is a case of Weil's syndrome/ Leptospira infection. Presents with a triad of: - Hemorrhage Acute kidney injury Jaundice Rats are an important reservoir. Renal involvement: - Acute tubular damage Interstitial nephritis Non-oliguric hypokalemic injury Hypokalemia and hyponatremia Wasting of magnesium